CSF pressure is mainly regulated by
1. Rate of CSF formation
2. Rate of CSF absorption
3. Cerebral blood flow
4. Venous pressure

Correct answer: 2. Rate of CSF absorption

Explanation: Lumbar CSF pressure is normally 70 to 180 mm H2O. Up to pressures well above this range, the rate of CSF formation is independent of intraventricular pressure. However, absorption is proportional to the pressure Ref: Ganong's Review of Medical Physiology Twenty-Third Edition Page No:571